All are tests done on blood except -
1. Acid phosphatase test
2. Benzidine test
3. Hemochromogen test
4. Teichmann's test

Correct answer: 1. Acid phosphatase test

Explanation: Acid phosphatase test is used for semen.
 Other three options arc tests for blood Stain.